Winging of scapula is due to:
1. Medial pectoral nerve palsy
2. Lateral pectoral nerve palsy
3. Nerve to serratus anterior palsy
4. Nerve to Latissimus dorsi palsy

Correct answer: 3. Nerve to serratus anterior palsy

Explanation: Winging of scapulaThe most common cause of scapular winging is serratus anterior paralysis.This is typically caused by damage to the long thoracic nerve.This nerve supplies the serratus anterior, which is located on the side of the thorax and acts to pull the scapula forward.